Laproscope is sterilized by ?
1. 2% formalin
2. 2% glutaraldehyde
3. Autoclaving
4. Boiling

Correct answer: 2. 2% glutaraldehyde

Explanation: Ans. is 'b' i.e., 2% glutaraldehyde All endoscopes (e.g. laproscope) are sterilized by 2% glutaraldehyde (cidex).